Lesion in Wernicke's area results in:
1. Global aphasia
2. Non-fluent aphasia
3. Conduction aphasia
4. Failure of comprehension of spoken or written words

Correct answer: 4. Failure of comprehension of spoken or written words

Explanation: The two areas concerned with language and speech are: (i) Wernicke's area (the sensory area for speech) in the superior temporal lobe and (ii) Broca's area (the motor area for speech) in the inferior frontal lobe. Wernicke's area: After understanding and comprehension of the word, the impulses are sent, arcuate fasciculus, to the Broca's area. Lesion: Speech production is normal (since motor area that finally produces actual words is not damaged). However, patients talk excessively; what they say is full of jargon and neologisms that make little sense. Patient fails to comprehend the meaning of spoken or written words. This is called fluent aphasia.